Both decreased bone resorption and increased bone formation is caused by
1. Strontium ranelate
2. Ibadronate
3. Teriparatide
4. calcitonin

Correct answer: 1. Strontium ranelate

Explanation: It supresses bone resorption as well as stimulates bone formation and has been introduced as a reserve drug for elderly women who have already suffered osteoporotic fracture and are unable to tolerate BPNs.(Ref.Essentials of medical pharmacology TD Tripathi 7th edition page no.346)